Food with maximum Cholesterol content -
1. Eggs
2. Coconut oil
3. Hydrogenated Fats
4. Ghee (Hydrogenated)

Correct answer: 1. Eggs

Explanation: In egg cholesterol content is 250 mg. REF. PARK'S TEXTBOOK OF PREVENTIVE AND SOCIAL MEDICAL 21ST EDITION. PAGE NO - 611)